A young girl presents with repeated episodes of throbbing occipital headache associated with ataxia and vertigo. The family history is positive for similar headaches in her mother. Most likely diagnosis is:
1. Vestibular neuronitis
2. Basilar migraine
3. Cluster headache
4. Tension headache

Correct answer: 2. Basilar migraine

Explanation: The terms basilar artery and basilar-type migraine have now been replaced by a migraine with brainstem auraIn this migraine aura have prominent brainstem symptoms such as dizziness, double vision, and lack of coordinationHarrison 19e 2588